Peritrichous flagellae are seen in ?
1. Vibrio cholerae
2. Proteus
3. Campylobacter
4. Legionella

Correct answer: 2. Proteus

Explanation: Ans. is 'b' i.e., Proteus